Undescended testis increases the risk of which cancer
1. Teratoma
2. Seminoma
3. Yolk sac tumor
4. Lymphoma

Correct answer: 2. Seminoma

Explanation: Seminoma risk is increased by 8-9 times by undescended testis.